Schizophrenia word means-
1. Split mind
2. Split mood
3. Split thoughts
4. Split associations

Correct answer: 1. Split mind

Explanation: Ans. is 'a' i.e., Split mind o "Schizophrenia " word means mental splitting.